Norepinephrine action at synaptic cleft is terminated by-
1. Metabolism by COMT
2. Metabolism by MAO
3. Reuptake
4. Metabolism by acetylchelinesterase

Correct answer: 3. Reuptake

Explanation: Ans. is 'c' i.e., Reuptake o Metabolism does not play an important role in terminating the action of neuronally releases CAs. o It is axonal uptake which is responsible for terminating the action of CAs.